Which of the following is an important functional parameter of pain receptors?
1. Exhibit little or no adaptation
2. Not affected by muscle tension
3. Signal only flexion at joint capsules
4. Can voluntarily be inhibited

Correct answer: 1. Exhibit little or no adaptation

Explanation: Pain receptors exhibit little or no functional adaptation. Its importance is that it allows the pain to keep the person apprised of a tissue-damaging stimulus as long as it persists.